A patient with anterior dislocation of shoulder will most likely give a history of
1. Abduction and internal rotation
2. Adduction and internal rotation
3. Abduction and external rotation
4. Adduction and external rotation

Correct answer: 3. Abduction and external rotation

Explanation: C i.e. Abduction & external rotation